The minor duodenal papilla is opening of -
1. Hepatic duct
2. Hepatopancreatic ampulla
3. Accessory pancreatic duct
4. Bile duct

Correct answer: 3. Accessory pancreatic duct

Explanation: Major duodenal papilla → Hepatopancreatic ampulla (opening of the biliary-pancreatic duct).
Minor duodenal papilla → Accessory pancreatic duct opening.